Which complication you would expect during internal podalic version in case of transverse lie
1. Uterine rupture
2. Cervical laceration
3. Uterine atony
4. Vaginal laceration

Correct answer: 1. Uterine rupture

Explanation: Uterine rupture Internal podalic version:- This nzaneouvre is currently used only for the delivery of a second twin. It consists of the insertion of a hand into the uterine cavity to turn the fetus manually. With this maneuver the fetus is turned to a breech presentation. After this the obstetrician grasps the fetal head to affect delivery by breech extraction. This operation is associated with high incidence of uterine rupture. Munrokar's operative Gynae states "The practice of this operation has been greatly reduced because of the high fetal mortality and because of the danger to the mother of uterine rupture. Earlier it was used in impacted shoulder presentation, placenta previa and cord prolapse, but because of the dangers attached (i.e. uterine rupture) it is now used only for transverse lie encountered with the second fetus of a twin delivery." Always remember The patient is deeply anaesthetized while performing internal podalic versioin.